Ethambutol is avoided in children as it causes ?
1. Dental maldevelopment
2. Visual disturbance
3. Renal failure
4. Growth retardation

Correct answer: 2. Visual disturbance

Explanation: Ans. is 'b' i.e., Visual disturbance